True regarding vascularity of lung is
1. Hypoxia causes vasodilation
2. Pulmonary resistance is half of the systemic vascular resistance
3. Perfusion is more in the apical lobe than in base
4. Distended pulmonary veins in the lower lobe

Correct answer: 4. Distended pulmonary veins in the lower lobe

Explanation: In lungs, the lower lobes get perfused more due to the effect of gravity. So the lower lobe vessels are more distended.